In "PALM-COEIN" Classification P stands for
1. Pain
2. Pedunculated fibroids
3. Polyps
4. Prolonged bleeding

Correct answer: 3. Polyps

Explanation: PALM-COEIN Classification It is used in abnormal uterine bleeding.The classification is stratified into 9 basic categories that are arranged according to the acronym PALM-COEIN (polyp, adenomyosis, leiomyoma, malignancy and hyperplasia endometrium, coagulopathy, ovulatory disorders, endometrium, iatrogenic and non classified). Reference: Shaw's textbook of gynaecology; 16th edition; Page no: 340